Which artery is palpated at the anterior border of masseter?
1. Superficial temporal
2. Occipital
3. Facial
4. External carotid

Correct answer: 3. Facial

Explanation: Masseter muscle covers the lateral surface of ramus of mandible which has three layers ORIGIN- Superficial layer: from anterior two third of zygomatic arch Deep layer: from deep surface of zygomatic arch Middle layer: from lower border of posterior one-third of zygomatic arch INSERTION- Superficial fibers pass downwards and backward at 45 degree Deep fibers pass vertically downwards Middle fibers pass or vertically downwards NERVE SUPPLY- By masseteric nerve, a branch of anterior division of mandibular nerve ACTIONS- Elevates mandible to close the mouth to bite Superficial fibers cause protrusion Ref BDC volume 3,sixth edition pg 116